Breast feeding week is celebrated on ?
1. 1st week of March
2. 1st week of July
3. 1st week of August
4. December

Correct answer: 3. 1st week of August

Explanation: Ans. is 'c' i.e., 1.St week of August